Features of depolarising neuromuscular blocking agents are all/ except
1. Cause muscle fascicutation
2. No fade
3. No post tetanic facilitation
4. Reversed by neostigmine

Correct answer: 4. Reversed by neostigmine

Explanation: D i.e. Reversed by neostigmine